A 45 years male presents with hypertension. He has sudden abnormal flinging movements in right upper and lower limbs. Most likely site of haemorrahge is:
1. Substantia nigra
2. Caudate nuclei
3. Pons
4. Subthallmic nuclei

Correct answer: 4. Subthallmic nuclei

Explanation: This patients abnormal movements is termed 'Hemiballismus'. Hemiballismus is a manifestation of sudden, violent movement of a proximal limb usually an arm. It develops due to a lesion in the subthalamic nucleus. Ref: The Brain and Behaviour: An Introduction to Behavioural Neuroanatomy By David L.Clark, Page 125 ; Harrison's Principle of Internal Medicine, 16th Edition, Page 139